Presence of which of the following in the urine is diagnostic of glomerular injury-
1. Bright red cells
2. 20% dysmorphic RBC's
3. 100RBC per high power field
4. Beta 2 micro globulin

Correct answer: 2. 20% dysmorphic RBC's

Explanation: Glomerular injury is characterised by the presence of RBC casts & dysmorphic erythrocytes in urine microscopy. Ref Harrison20th edition pg 292